Which of the following process in a vector is used to increased the yield of protein produced in recombinant protein synthesis?
1. Promoter induction
2. Origin of Replication
3. Translation Initiation
4. Translation of Transcription inhibition

Correct answer: 1. Promoter induction

Explanation: Expression vectors are plasmids/viruses designed to regulate protein expression in a target cellThey are used to insert a specific gene into the target cell to produce the desired proteinThey contain regulatory sequences which act as enhancer and promoter regions to bring about efficient transcription of the geneAn inducible promoter regulates the gene expression and can increase the yield of the recombinant proteinRef: